Palsy of right genioglossus causes
1. Deviation of tongue to right
2. Deviation of tongue to left
3. Deviation of soft palate to right
4. Deviation of soft palate to left

Correct answer: 1. Deviation of tongue to right

Explanation: Palsy of right genioglossus muscle deviates the tongue to the right side, due to unopposed medial pull of the left genioglossus. Genioglossus muscle moves the tongue anterior (protrusion), inferior (depression) and medial (AIM). In bilateral contraction of genioglossus, the vector of medial pull is balanced (and cancelled), and there occurs protrusion and depression of tongue in midline.